True about acute epididymitis is :
1. Associated with urinary infection
2. Painless
3. Scrotum size is reduced
4. Does not mimic with torsion of testes

Correct answer: 1. Associated with urinary infection

Explanation: Ans is 'a' ie Associated with urinary infection Acute epididymitis and ac. epididymo chitis are inflammation of the epididymis and testis due to infective pathology.Infection reaches the epididymis through the vas from urethra. Sometimes it may be blood borne.MC infective organism in sexually active young males is Gonococcus and Chlamydia, and in children and older men are d/t urinary pathogen such as E. coli.Clinical symptomsThe pts. presents with a fever, very painful, swollen, red, tender scrotum.The epididymis and the testis are both swollen.The acute painful condition has to be differentiated from torsion of testis.Treatment antibiotics, rest & lots of fluid